Which one of the following drug is contraindicated in acute myocardial infarction:
1. Morphine
2. Pentazocine
3. Nitroglycerin
4. Beta blockers

Correct answer: 2. Pentazocine